ESI act was Made in –
1. 1946
2. 1948
3. 1952
4. 1954

Correct answer: 2. 1948

Explanation: The Employees State Insurance (ESI) Act

The ESI act passed in 1948 (amended in 1975, 1984 and 1989) is an important measure of social security and health insurance in this country.
It provides for certain cash and medical benefits to industrial employees in case of sickness, maternity and employment injury.
With effect from 1-5-2010 the act covers all employees, i.e., manual, clerical, supervisory and technical, getting upto Rs 15,000 per months. The provisions of the Act can be extended to any other agricultural or commercial establishment.